Which of the following tumor contain the characteristic 'Schiller Duval Bodies'?
1. Choriocarcinoma
2. Yolk sac tumor
3. Granuloma cell tumor
4. Arrhenoblastoma

Correct answer: 2. Yolk sac tumor

Explanation: Yolk Sac Tumor (Endodermal Sinus Tumor) is a germ cell tumor. Most common symptom is bloody vaginal discharge. Grossly, this tumor appears polypoid or sessile and often ulcerated. On microscopic examination, these tumors most commonly have a reticular pattern. A classic finding, although not always present, is the Schiller-Duval body. This is a papilla with a single central vessel. Serum alpha-fetoprotein (AFP) is a useful tumor marker for yolk sac tumor. Ref: Hoffman B.L., Schorge J.O., Schaffer J.I., Halvorson L.M., Bradshaw K.D., Cunningham F.G., Calver L.E. (2012). Chapter 32. Vaginal Cancer. In B.L. Hoffman, J.O. Schorge, J.I. Schaffer, L.M. Halvorson, K.D. Bradshaw, F.G. Cunningham, L.E. Calver (Eds), Williams Gynecology, 2e.